Persistant Moro's reflex at 6-7 months indicates ?
1. Normal child
2. Brain damage
3. Hungry child
4. Irritable child

Correct answer: 2. Brain damage

Explanation: Ans. is 'b' i.e., Brain damage